Which of the following is diagnostic of Rabies?
1. Guarneri bodies
2. Negri bodies
3. Cowdry A body
4. Bollinger bodies

Correct answer: 2. Negri bodies

Explanation: Negri bodies, in which CNS viral replication occurs, are eosinophilic intracellular lesions found within cerebral neurons and are highly specific for rabies. Negri bodies are found in about 75% of proven cases of animal rabies. Although their presence is pathognomonic for rabies, their absence does not exclude rabies. Ref: Weber D.J., Wohl D.A., Rutala W.A. (2011). Chapter 152. Rabies. In J.E. Tintinalli, J.S. Stapczynski, D.M. Cline, O.J. Ma, R.K. Cydulka, G.D. Meckler (Eds), Tintinalli's Emergency Medicine: A Comprehensive Study Guide, 7e